Route of administration of BCG for bladder cancer is :
1. Oral
2. Subcutaneous
3. Intravenous
4. None of the above

Correct answer: 4. None of the above

Explanation: The intravesical route is used for BCG in the treatment of bladder carcinoma.